Iron overload occurs in all except
1. Thalassemia
2. Myelodysplastic syndrome
3. Polycythemia vera
4. Sideroblastic anemia

Correct answer: 3. Polycythemia vera

Explanation: Ref Harrison 19 th ed pg 626, 673 Increased erythropoietin leads to increased haematopoasis and an increased demand for iron producing a state of iron deficiency. Polycythemia vera being a state of increased erythropoietin is a cause of iron deficiency rather than iron overload.